The  most  general  term  for  the  process  by  which  the amount  of  active  drug  in  the  body  is  reduced  after absorption into the systemic circulation is:
1. Excretion
2. Elimination
3. First pass metabolism
4. Distribution

Correct answer: 2. Elimination

Explanation: Drug elimination is the sum total of metabolic inactivation and excretion.
Depending upon the ability of the body to eliminate a drug, a certain fraction of the central compartment may be considered, to be totally 'cleared' of that drug in a given period of time to account for elimination over that period.
 
Reference: Essentials of Medical Pharmacology Eighth Edition KD TRIPATHI page no 38